A 32-year-old patient has a tension pneumothorax that can be treated with needle aspiration. To avoid an injury of the intercostal neurovascular bundle, the needle may be inserted in which of the following locations?
1. Above the upper border of the ribs
2. Deep to the upper border of the ribs
3. Beneath the lower border of the ribs
4. Between the external and internal intercostals

Correct answer: 1. Above the upper border of the ribs

Explanation: The intercostal veins, arteries, and nerves run in the costal groove beneath the inferior border of the ribs between the internal and innermost layers of muscles. The transversus thoracis muscles are situated in the internal surface of the lower anterior thoracic wall.